Investigation of choice in suspected gallbladder stone is
1. Ultrasound
2. X-Ray
3. Barium study
4. Oral cholecystography

Correct answer: 1. Ultrasound

Explanation: USG can demonstrate Biliary calculi Size of GB and CBD Thickness of GB wall Presence of inflammation around GB Occasionally presence of stones within the biliary tree Ref: Sabiston 20th edition Pgno :1487